In which of the following state, a person is mute and akinetic, but can be awakened and even be alert?
1. Stupor
2. Delirium
3. Twilight state
4. Oneiroid state

Correct answer: 1. Stupor

Explanation: Ans.A. StuporStupor refers to a higher degree of arousability in which the patient can be transiently awakened only by vigorous stimuli, accompanied by motor behaviour that leads to avoidance of uncomfortable or aggravating stimuli.